Drug acting on V2 receptors and used in DI (REPEAT)
1. Telypressin
2. Vasopressin
3. Desmopressin
4. Pralispressin

Correct answer: 3. Desmopressin

Explanation: Desmopressin is USED IN central DIREF:KDT7/e p597